Atraumatic Restorative Treatment (ART) technique utilises
1. Glass ionomer cement
2. Composite resin
3. Silver amalgam
4. Reinforced zinc oxide eugenol cement

Correct answer: 1. Glass ionomer cement